Beta HCG is secreted by -
1. Ovary
2. Pituitary
3. Corpus luteum
4. Placenta

Correct answer: 4. Placenta

Explanation: Ans. is 'd' i.e., Placenta [Ref: Ganong 24th/ep. 414 & 23rd/ep. 424Jo b-HCG is secreted by placenta.o This question is a direct repeat from NBE based NEET 2012-13.